A neurosurgeon dropped his kid to the school then there he saw a child with uncontrollable laughing and precocious puberty. When he again went to the school in capital parents teachers meeting, he talked to the father of that boy and advised him to get an In1R1 done and the diagnosis was confirmed. What is the most probable diagnosis
1. Hypothalamic hamartoma
2. Pineal germinoma
3. Pituitary adenoma
4. Craniopharyngioma

Correct answer: 1. Hypothalamic hamartoma

Explanation: Ans. a. Hypothalamic hamartoma Uncontrollable laughing and precocious puberty are suggestive of hypothalamic hamartoma. Hypothalamic Hamartoma Central precocious puberty starting before the age 3 years is often due to hypothalamic hamartomaQ . Seizures, especially laughing spells (gelastic seizures)deg are seen in children with hypothalamic hamartoma. Hypothalamic Hamartoma Central precocious puberty starting before the age 3 years is often due to hypothalamic hamartomaQ Hypothalamic hamartoma picked up by MRIQ Seizures, especially laughing spells (gelastic seizures)Qare seen in children with hypothalamic hamartoma Precocious Puberty Central precocious puberty is a.lso known as true precocious pubertyQ, peripheral precocious puberty is called pseudo-precocious pubertyQ. McCune-Albright syndrome causes pseudo-precocious puberty (Peripheral precocious puberty).